Keshan disease is an endemic cardiomyopathy found in deficiency of
1. Selenium
2. Manganese
3. Chromium
4. Copper

Correct answer: 1. Selenium

Explanation: (Selenium) (410-H) (449-H17th)Keshan disease - found in children and young women residing in regions of china where dietary intake of selenium is low (< 20 mg/d)* Concomitant deficiencies of iodine and selenium may worsen the clinical manifestations of cretinism.